Which of the following is not seen in thyrotoxicosis
1. Palpitation
2. Anxiety
3. Weight loss
4. Menorrhagia

Correct answer: 4. Menorrhagia

Explanation: Ref - davidsons 23e p637